Hemophilia A has increased:
1. PT
2. PTT
3. PT & PTT
4. None

Correct answer: 2. PTT

Explanation: PTT (Ref: Robbin's 7th Ed/Pg 656) "Patients with hemophilia, typically have a normal BT, platelet count & PT & a prolonged PTT." Remember these, BT is prolonged in: 1.Thrombocytopenic purpura 2. Von willebrand's disease CT is prolonged in Hemophilia PT: normal =10-14 sec Prolonged in deficiency of: 1. Factors I, II, V, VII, X 2. In VitK deficiency 3. Liver diseases 4. Patients on anti- coagulant & salicylate therapy PTT: normal = 30-40 sec Prolonged in deficiency of: Factors I, II, V, VII, IX, X, XI E.S.R is raised in: 1. Infections 2. Myocardial infarction 3. Connective tissue disorders 4. Inflammatory disorders 5. Malignant lymphomas 6. Myeloma E.S.R is decreased in: 1. Sickle cell anemia 2. Allergic conditions 3. Jaundice